In index of treatment needs (IOTN), treatment grade 4 indicates
1. Extreme / need treatment
2. Moderate / borderline need
3. Severe / need treatment
4. No need for treatment

Correct answer: 3. Severe / need treatment